Stroke bite lesion are seen in -
1. Sturge weber syndrome
2. Blue rubber bleb nevus syndrome
3. Macular staining of infant
4. Craniofacial nevus

Correct answer: 3. Macular staining of infant

Explanation: Ans. is 'c' i.e., Macular staining of infant Stroke bite (Salmon patch/ nevus simplex) It is small pale, ill-defined, vascular macules & represent localized vascular ectasia. o Occur most commonly on glabella, eyelids, upper lip, & Nuchal area of 30-40% of normal newborn infants. o More visible during crying or changes in environmental temperature. o Most stork bites on the face go away completely in about 18 months. Stork bites on the back of the neck usually do not go away. o No treatment is needed. If a stork bite lasts longer than 3 years, It may be removed with a laser to improve the person's appearance.